In the year 1971 first Pit and Fissure sealant was developed
1. NUVA SEAL.
2. NEW SEAL.
3. SEALAPEX.
4. None

Correct answer: 1. NUVA SEAL.